Adrenoleukodystrophy is?
1. AD
2. AR
3. X linked dominant
4. X linked recessive

Correct answer: 4. X linked recessive

Explanation: Ans. is 'd' i.e., X Linked recessiveAdrenoleukodystrophv:Adrenoleukodystrophy is an X-linked recessive disease associated with mutations in a member of the ATP-binding cassette transporter family of proteins (ABCD1), which is involved in the transport of molecules into the peroxisome.In the typical form of the disease, young males present with behavioral changes and adrenal insufficiency.The disease is characterized by the inabil- ity to catabolize very-long-chain fatty acids (VLCFAs) within peroxisomes, resulting in elevated levels of VLCFAs in serum.